Laser uvulopharyngopalatoplasty is the surgery done for which of the following
1. Snoring
2. Recurrent pharyngotonsilitis
3. Cleft palate
4. Stammering

Correct answer: 1. Snoring

Explanation: Ans. a. Snoring ulopalatopharyngoplasty (also known by the abbreviations UPPP and UP3) is a surgical procedure or sleep surgery used to remove tissue and/or remodel tissue in the throat. This could be because of sleep issues. Tissues which may typically be removed include: The tonsils The adenoids Tissues which may typically be remodeled include: The uvula (see uvulotomy) The soft palate The pharynx